Dermatomal supply of the perianal skin is -
1. S1
2. L2
3. L3
4. S4

Correct answer: 4. S4

Explanation: Dermatomal supply of perianal skin and groin is S4.